Most common side effect of 5-HT 3 antagonist drug alosetron is ?
1. Pulmonary fibrosis
2. Cardiac arhythymmias
3. Constipation
4. Headache

Correct answer: 3. Constipation

Explanation: Ans. is 'c' i.e., Constipation Alosetron has sometimes caused fatal intestinal side effects including constipation and ischemic colitis.